At what value of one-hour glucose challenge test will you recommend a standard glucose tolerance test -
1. 120 mg/dI
2. 140 mg/dI
3. 150 mg/dI
4. 160 mg/dI

Correct answer: 2. 140 mg/dI